The distance from airport or seaport which has to be free from mosquitoes is -
1. 400 m
2. 500 m
3. 1 km
4. 100m

Correct answer: 1. 400 m

Explanation: - The aircraft and ships arriving from endemic areas are subjected to aerosol spraying with prescribed insecticides on arrival for destruction of insect vectors. -The distance from airport or seaport which has to be free from mosquitoes is 400 meters. Reference : Park's textbook of preventive and social medicine, 23rd edition pg no:284